Multi organ failure is defined as failure of minimum how many organs?
1. 2
2. 3
3. 4
4. 5

Correct answer: 1. 2

Explanation: ANSWER (A) 2REF .-With textSee table of "Definitions Used to Describe the Condition of Septic Patients" in Medicine 2013 Session 2, Surgery Post Diploma June 2012Webster's dictionary defines:Multi organ failure (MOF) or multi organ failure syndrome (MOFS) or multi organ dysfunction syndrome { MODS) is defined as progressive dysfunction of two or more major organ systems in a critically ill patient that makes it impossible to maintain homeostasis without medical intervention and that is typically a complication of sepsis and is a major factor in predicting mortality.MODS is dysfunction of more than one organ, requiring intervention to maintain homeostasis (Ref: Harrison 18" ed Table 271-1)